All of the following statements are false regarding sarcoidosis, except:
1. Schaumann bodies and asteroid bodies are not seen
2. BAL (broncho-alveolar lavage) fluid shows CD8/CD4 T cell ratio of 4:1
3. Hilar and mediastinal lymph nodes are spared
4. Can be associated with unilateral or bilateral iritis or iridocyclitis

Correct answer: 4. Can be associated with unilateral or bilateral iritis or iridocyclitis

Explanation: Sarcoidosis The lungs are involved is seen in 90% cases. Clinical manifestations include lymph node enlargement, eye involvement (sicca syndrome , iritis, or iridocyclitis), skin lesions (e.g., erythema nodosum), and visceral (liver, skin, marrow) involvement. Lymph nodes are involved in almost all cases, particularly the hilar and mediastinal nodes. Intra-alveolar and interstitial accumulation of CD4+ T cells, resulting in CD4/CD8 T-cell ratios ranging from 5:1 to 15:1. Schaumann bodies and asteroid bodies are seen on microscopic examination. These are not pathognomonic of sarcoidosis because these may be seen in other granulomatous diseases (e.g., tuberculosis).